Following statements regarding ulcerative colitis is true- (
1. Smoking has a protective effect
2. Smoking does not have a protective effect
3. There is no relation to smoking
4. Smoking causes relapses

Correct answer: 1. Smoking has a protective effect

Explanation: Ulcerative colitis Inflammation invariably involves the rectum (proctitis) and spreads and also has some bleeding and proximally in a continuous manner to involve the entire colon in some cases (pancolitis). In long-standing pancolitis, the bowel can become shortened and post-inflammatory 'pseudopolyps' develop; these are normal or hypertrophied residual mucosa within areas of atrophy . The inflammatory process is limited to the mucosa and spares the deeper layers of the bowel wall . Both acute and chronic inflammatory cells infiltrate the lamina propria and the crypts ('cryptitis'). Crypt abscesses are typical. Goblet cells lose their mucus Ref Davidson edition23rd pg 815